How much Potassium is present in the RingerLactate solution aEUR'
1. 1 mEq/L
2. 4 inEq/L
3. 2 mEq/L
4. 6 mEq/L

Correct answer: 2. 4 inEq/L

Explanation: 4 niEq/L Solution Volumeb Na+ I(+ Ca' me+ C1- HCO3 (as la- ctate) I)ext rose (g/L) mOsm/L Extracellular fluid -- 142 4 5 3 103 27 -- 280-310 Lactated ringer's -- 130 4 3 -- 109 28 -- 273 0.9% NaC1 -- 154 -- -- 154 -- -- 308 0.45% NaC1 -- 77 -- -- 77 -- -- 154 D5W -- -- -- -- -- -- 50 259 1)5/0.45% NaD -- 77 -- _ 77 -- 50 406 D5LR 130 4 3 109 28 50 525 3% NaC1 -- 513 -- -- 513 -- -- 1,026 7.5% NaC1 -- 1,283 -- -- 1,283 -- -- 2,567 6% hetastarch 500 154 -- -- 154 -- __ __ 310 10% dextran-40 500 0/154deg -- -- 0/154deg -- ___ 300 6% dextran-70 500 0/1540 -- -- -- 0/1540 -- ___ 300 5% albumin 250, 500 130-160 <2.5 -- -- 130-160 -- ___ 330 25% albumin 20,50,100 130-160 <2.5 -- -- 130-160 -- ___ 330 Plasma protein fraction 250, 500 145 145 300